A bacterium acquires an antibiotic-resistance gene that is carried by a phage vector. The phage vector does not carry randomly chosen portions of bacterial DNA, but instead almost always carries primarily the antibiotic-resistance gene. This is an example of which of the following?
1. Conjugation
2. Generalized transduction
3. Site-specific transduction
4. Transformation

Correct answer: 3. Site-specific transduction

Explanation: Transduction is the term used for DNA transfer a bacteriophage vector. Transduction that involves specific genomic information is called site-specific transduction. Conjugation is direct DNA transfer between bacteria sex pili. Generalized transduction is a non selective DNA transfer a bacteriophage vector. Transformation is the uptake of naked DNA from the environment. Ref: Brooks G.F. (2013). Chapter 7. Microbial Genetics. In G.F. Brooks (Ed), Jawetz, Melnick, & Adelberg's Medical Microbiology, 26e.